Serial subtraction is used to test
1. Working memory
2. Long term memory
3. Mathematical ability
4. Recall power

Correct answer: 1. Working memory

Explanation: Working memory- Digit Span test & serial subtraction.Long term memory- birth, high school, marriage details, etc. DST & Serial subtraction are usually tested for concentration., here correct option is working memory. Reference: Syanopsis of Psychiatry, page 203.